Ketamine NOT used in:
1. Full stomach
2. Increased ICT
3. Pediatric patient
4. Asthma patient

Correct answer: 2. Increased ICT

Explanation: Ans. (b) Increased ICTRef: Katzung 9th ed. 1604; KDT 6th ed./376